Drug of choice for prevention of infection by animal bite ?
1. Amoxicillin/clavulanate
2. Tetracycline
3. Ciprofloxacin
4. Cotrimazole

Correct answer: 1. Amoxicillin/clavulanate

Explanation: Ans. is 'a' i.e., Amoxicillin/clavulanate